Goldenhar's complex includes:
1. Cystic hygroma
2. Esophageal atresia
3. Branchial cleft anomaly
4. None of the above

Correct answer: 3. Branchial cleft anomaly

Explanation: Rarely, branchial cleft anomalies occur in association with biliary atresia and congenital cardiac anomalies, an association that is referred to as Goldenhar's complex. Ref: Schwartz's principle of surgery 9th edition, chapter 39.